'Falanga' is:
1. Sitting in abnormal position
2. Hitting the feet with stick
3. Electric current for torture
4. Pulling of hair

Correct answer: 2. Hitting the feet with stick

Explanation: Ans. Hitting the feet with stick